A lady with 36-week pregnancy with previous C section comes with low BP, tachycardia and on USG fluid present in peritoneum. What is diagnosis and next management
1. Uterine scar rupture with Laparotomy
2. Impending dehiscence and Laparoscopy
3. Ectopic pregnancy and abortion
4. Abruptio and C-section

Correct answer: 1. Uterine scar rupture with Laparotomy

Explanation: Above history points towards diagnosis of Uterine scar rupture Signs and symptom of rupture: Maternal Tachycardia Maternal hypotension Dead baby or severe fetal distress Uterine contour is lost Sudden stoppage of uterine contraction Hemoperitoneum P/V: loss of station Mx: Emergency laparotomy